Rapid polymerization with high intensity light will:
1. Increase bond strength by decreasing stresses
2. Decrease bond strength by increasing stresses
3. No effect on bond strength
4. Initial increase followed by a decrease in bond strength

Correct answer: 2. Decrease bond strength by increasing stresses

Explanation: High intensity lights do not produce the same type of polymer network during curing. 
Rapid polymerization may produce excessive polymerization stresses and weaken the bonding layer. 
Reference- Sturdevant 6th ed Pg 495